Mineral present in Vit B12 is:
1. Selenium
2. Cobalt
3. Iron
4. Calcium

Correct answer: 2. Cobalt